Which is an example of small vessel vasculitis?
1. Takayasu arteritis
2. Kawasaki disease
3. PAN
4. Churg strauss syndrome

Correct answer: 4. Churg strauss syndrome

Explanation: Ans. is 'd' i.e., Churg strauss syndrome a) Large vessel vasculitis: Giant cell arteritis (temporal arteritis), Takayasu arteritis, Cogan syndrome.b) Medium vessel vasculitis: PAN (classical PAN), kawasaki disease, Buerger's disease.c) Small vessel vasculitis ; HSP, Wegner's granulomatosis, microscopic polyangitis, churg strauss syndrome, Cryoglobulinemia, SLE, idiopathic crescentic glomerulonephritis, Bechet's syndrome, renal limited vasculitis